In case of renal transplant, most common infection within one month is -
1. Pneumococcus
2. Gram-ve organism
3. Pneumocystis carinii
4. Cryptococcus

Correct answer: 2. Gram-ve organism